Gartner's duct cyst is seen in:
1. Vagina
2. Cervix
3. Hymen
4. Labia minora

Correct answer: 1. Vagina

Explanation: Ans. A. VaginaThe most Gammon type of vaginal cysts is Gartner's duct Cyst. These cysts arise from the caudal remnants of the mesonephric or Wolffian duct system. They are usually located along the anterolateral aspect of the vaginal walls and are frequently bilateral.Gartner's ducts are remnants of the mesonephric (Wolffian) duct in the female and consist of a series of tiny vestigial cysts extending along the lateral aspect of the uterus to the vaginal vestibule.